Life span of neutrophils is:
1. 6 hours
2. 6 days
3. 10 days
4. 15 days

Correct answer: 1. 6 hours

Explanation: A i.e. 6 HoursThe average half life of neutrophils in the circulation is 6 Hours.QTo maintain normal circulating blood level, production of 100 billion neutrophils /day is necessary. Half life of transfused platelet is 4 daysQ